Which prostaglandin helps in cervical ripening ?
1. PGI2
2. PGF2
3. PGE2
4. PGD2

Correct answer: 3. PGE2